Ligament below head of talus is ?
1. Spring
2. Deltoid
3. Cervical
4. None

Correct answer: 1. Spring

Explanation: Ans. is 'a' i.e., Spring Inferior surface of head of talus has three articular areas :?Posterior facet (largest) : It articulates with middle facet of sustenticulum tali of calcaneum.Anterolateral facet : It articulates with anterior facet of calcaneum.Medial facet : It is related to spring ligament (plantar calcaneonavicular ligament).